Laser uvulopalatoplasty is done for:
1. Snoring
2. Pharyngotonsillitis
3. Cleft palate
4. Stammering

Correct answer: 1. Snoring

Explanation: (a) Snoring(Ref. Cummings, 6th ed., 2863)Uvulopalatoplasty also known as Uvulopalato-pharyngoplasty (UPPP) is done in obstructive sleep apnoea due to hypertrophied tonsils and bulky oropharynx which usually presents with excessive snoring during sleep and day time somnolence.